A 60-year-old male with poor stream of urine, post void residual urine is 400 mL, bilateral hydronephrosis and prostate weighing 70 g. His urea is 120 and creatinine 3.5. Ideal "next immediate" step:
1. Catheterize with Foley catheter
2. Bilateral PC nephrostomies
3. CT to rule out carcinoma
4. MRI pelvis

Correct answer: 1. Catheterize with Foley catheter

Explanation: Ans. (a) Catheterize with Foley catheterCauses of bilateral hydronephrosis:* Posterior urethral valves* Urethral atresia* BPH/ cancer prostate* Bladder neck stricture* Urethral stricture* PhimosisThe immediate next step in those cases is to put a Foley's catheter if possible.